PNDT Act 1994 deals with
1. Prohibition of sex selection
2. Age determination
3. Fetal viability
4. Congenital abnormalities

Correct answer: 1. Prohibition of sex selection

Explanation: (A) Prohibition of sex selection# PRE-NATAL DIAGNOSTIC TECHNIQUES (Regulation and Prevention of Misuse) Act, 1994 (PNDT), was amended in 2003 to Pre-Conception and Pre-Natal Diagnostic Techniques (Prohibition Of Sex Selection) Act (PCPNDT Act) to improve the regulation of the technology used in sex selection.> Implications of the amendment are: Amendment of the act mainly covered bringing the technique of pre conception sex selection within the ambit of the act Bringing ultrasound within its ambit Empowering the central supervisory board, constitution of state level supervisory board Provision for more stringent punishments Empowering appropriate authorities with the power of civil court for search, seizure and sealing the machines and equipments of the violators Regulating the sale of the ultrasound machines only to registered bodies